The position of the hip in a patient with posterior dislocation of hip
1. Extension, abduction, internal rotation
2. Flexion, adduction, internal rotation
3. Flexion, abduction, internal rotation
4. Flexion, abduction, external rotation

Correct answer: 2. Flexion, adduction, internal rotation

Explanation: Position and attitude of hip pathology Flexion, Abduction, External rotationFlexion, Adduction, Internal rotation1st stage of TB hip Anterior dislocation of hip Fracture shaft of femur Polio hipHip joint effusion 2nd and 3rd stage of TB hip Posterior dislocation of hip Traumatic hip dislocation (Refer: Watson Jones Textbook of Orthopedics & Trauma, 6thedition, pg no: 901-935)